Exfoliative cytology is indicated in
1. Heavily keratinized lesions of oral cavity
2. Pre-cancerous lesions of oral cavity
3. Cigarette smokers
4. Mass screening of cervical cancer

Correct answer: 4. Mass screening of cervical cancer